In sensorineural hearing loss, weber’s test is lateralized to
1. Normal ear
2. Defective ear
3. Not lateralized
4. May alternate

Correct answer: 1. Normal ear

Explanation: In Sensorineural deafness: Lateralized to better ear.
In conductive deafness: Lateralized to worse ear.